Which of the following diseases is autosomal dominant?
1. Albinism
2. Sickle cell anemia
3. Thalassemia
4. Tuberous sclerosis

Correct answer: 4. Tuberous sclerosis

Explanation: Tuberous sclerosis is an autosomal dominant (AD) disorder. Note: All Ehler-Danlos syndrome types are Autosomal Dominant, except types V,VI, and VII All types of osteogenesis imperfecta are Autosomal Dominant, except types II, III and VII Autosomal Dominant Disorders: Achondroplasia Von Willebrand disease Pseudohypoparathyroidism Dystrophia myotonica Osteogenesis imperfecta Marfan syndrome Intermittent porphyria Neurofibromatosis Adult polycystic kidney disease Noonan syndrome Tuberous sclerosis Hypercholesterolemia(Familial) Huntington's disease Hereditary spherocytosis Hypertrophic obstructive cardiomyopathy Hereditary non-polyposis coli Hereditary hemorrhagic telangiectasia Ref: Nelson textbook of Pediatrics 21st edition Pgno: 3144